Stapes develop from -
1. 1st arch
2. 2nd arch
3. 3rd arch
4. 4th arch

Correct answer: 2. 2nd arch

Explanation: Ans. is 'b' i.e., 2nd archo External auditary canal - First branchial cleft.o Auricle (pinna) - First & second branchial (pharyngeal) arch.o Middle ear cleft (Eustachian tube, tympanic cavity, attic, antrum, mastoid air cells) - 1st & 2nd arch,o Malleus, incus - 1st arch,o Stapes (except footplate) - 2nd arch,o Footplate of stapes and annular ligament - Otic capsule.